Tachyzoites are seen in ?
1. Toxoplasma
2. Toxocara
3. Pulmonary eosinophilia
4. Ascaris

Correct answer: 1. Toxoplasma

Explanation: Ans. is 'a' i.e., Toxoplasma Toxoplasmosis is the disease caused by infection with the obligate intracellular parasite Toxoplasma gondii. There are two distinct stages in the life cycle of T gondii :? Nonfeline stage In this stage tissue cysts (containg bradyzoites) or sporulated oocysts are ingested by intermediate hosts (Human, mouse, sheep or pig). The cyst is rapidly digested by the acidic-pH gastric secretion releasing bradyzoites or sporozoites. These bradyzoites or sporozoites enter the small - intestinal epithelium and tranform into rapidly dividing tachyzoites (endozoites). The tachyzoites can infect and replicate in all mammalian cells except red blood cells. Tissue cysts containing many bradyzoite develop 7-10 days after systemic tachyzoite infection. These tissue cysts occur in a variety of host organs but persist principally within the CNS and muscle. Feline stage (sexual stage) This stage takes place in the definitive host (cat) This cycle is associated with formation of oocysts, which are excreted in cat feces. Mature oocysts contain 2 sporocysts, each with 4 sporozoites. The formation of tissue cysts in cats constitutes the other part of feline cycle.